Cervical vertebra is differentiated from the thoracic veerbra by the presence of
1. Large vertebral body
2. Upwards facing facets
3. Triangular for amina
4. Foramen transversarium

Correct answer: 4. Foramen transversarium

Explanation: Ans. d. Foramen transversarium